Strongest force of bonding between retina and RPE –
1. Vitreous gel pressure
2. Intraocular fluid pressure
3. RPE water transport
4. IPM

Correct answer: 4. IPM

Explanation: Interphotorecepter matrix (IPM) is the most important bond between the retinal pigmented epithelium (RPE) to the rest of the retina (through photoreceptor layer).